Which sulphonamide is used for the treatment of ulcerative colitis -
1. Sulphamethiazole
2. Sulphathalazole
3. Sulphaguanidine
4. Salazopyrin

Correct answer: 4. Salazopyrin